An infertile women has bilateral tubal block at comua diagnosed on hysterosalpingography. Next step in treatment is:
1. IVF
2. Laparoscopy and hysteroscopy
3. Tuboplasty
4. Hydrotubation

Correct answer: 2. Laparoscopy and hysteroscopy

Explanation: Shaw's textbook of Gynaecology- 16th edn- pg no 253. A hysteroscopy must be combined with laparoscopy for cornual pathology. Mucus plug, polyps and synechiae can be managed. Dense adhesions can not be dealt with this way.